Cetrimide is
1. Aldehyde
2. Halogen
3. Phenol
4. Quarternary ammonium compounds

Correct answer: 4. Quarternary ammonium compounds

Explanation: Cetrimide is Quarternary ammonium compounds. Lysol, Cresol derivatives of coal tar are a type of phenols Formaldehyde and glutaraldehyde are aldehydes Iodine and chlorine are halogens Ref : Ananthanarayana textbook of Microbiology 9th edition Pgno : 33